Gastrin is produced by
1. Greater sac
2. Lesser sac
3. First part of the duodenum
4. Pyloric antrum

Correct answer: 4. Pyloric antrum

Explanation: D. i.e. (Pyloric antrum) (443-Ganong 23rd) (484 - Ganong 22nd)* GASTRIN - is produced by cells called G-cells in the lateral walls of the glands in the antral portion of the gastric mucosa. It is polypeptide** containing* G-14, G-17 or G-34 amino acids. Found in pituitary gland, hypothalamus, medulla oblongata, vagus and sciatic nerves* SECRETIN is produced by S. cells of mucus membrane in duodenum and jejunum Stimuli that Increases gastrin secretion (a) luminal peptides and amino acids, Distension (b) Neural- increased vagal discharge via GRD (c) blood borne - calcium, Epinephrine Stimuli that inhibit gastrin secretion (a) Luminal acid, somatostatin** (b) Blood borne - secretin** GIP,VIP Glucagon**, Calcitonin* GASTRINOMA are gastrin producing tumours which can occur in stomach or duodenum or pancreatic tumour of d cells (Zollinger- Ellision Syndrome). These tumours secrete large amounts of gastrin which causes excessive secretion of HC1 and predisposes to peptic ulcer.